Regarding brown sequard syndrome following are true statements except
1. Ipsilateral loss of conscious proprioception, vibration sensation at the level and below the level of lesion.
2. Ipsilateral loss pain and temperature below the level of lesion
3. Ipsilateral flaccid paralysis at the level of lesion
4. Ipsilateral spastic paralysis below the lesion

Correct answer: 2. Ipsilateral loss pain and temperature below the level of lesion

Explanation: Brown sequard syndrome is syndrome due to hemisection of spinal cord. It includes ipsilateral loss of pain and temperature at the level of lesion and contralateral loss of pain and temperature below the level of lesion.